Which one of the following is not predictive of long-term disability in patients with multiple sclerosis?
1. Length of intervals between relapses
2. Incomplete recovery from relapses
3. Optic neuritis in the first 2 years
4. Frequency of relapses

Correct answer: 3. Optic neuritis in the first 2 years

Explanation: Option A (Length of intervals between relapses) - Predicts disability, as if more gap between 2 symptoms, patient's prognosis will be better. If symptoms develop 1 after the other, so length of interval is lesser so BAD prognosis. Option B (Incomplete recovery from relapses)- Symptoms are stabilizing and recovering, so symptoms disappearing on its own is good prognosis and incomplete recovery is bad prognosis. Option C (Optic neuritis in the first 2 years)- Optic Neuritis in the first 2 years doesn't signify bad prognosis as optic neuritis patients responds well to STEROIDS (METHYL PREDNISOLONE) Option D (Frequency of relapses)- More frequent the disease reappears, indicates long term disability.